Third nerve palsy causes all except
1. Ptosis
2. Miosis
3. Outward eye movement
4. Diplopia

Correct answer: 2. Miosis

Explanation: CN III palsy will cause diplopia not miosis.